Introns are exised by:
1. RNA splicing
2. RNA editing
3. Restriction endonuclease
4. DNAase

Correct answer: 1. RNA splicing

Explanation: Ans. A. RNA splicingRemoval of introns and joining of Exons called Splicing Intron:Intervening sequence that do not code for Amino AcidExonQ: Amino acid coding sequence.Molecular machinery that carry out splicing is called Spliceosome.SpliceosomesConsist of the primary transcript, five small nuclear RNAs (U1, U2, U4, U5, and U6) and more than 60 protein.Spliceosome = snRNA + RNP + hnRNA (or mRNA precursor).